Meconium should be excreted by a newborn by ... days?
1. 2
2. 3
3. 6
4. 4

Correct answer: 1. 2

Explanation: Most of the newborns pass urine by 24hrs and Meconium by 48hrs. If not, it requires observation and investigations. Refer page no 420 of Text book of obstetrics,DC DUTTA'S ,9thedition.